Normal platelet count is found in:
1. Wiskott Aldrich syndrome
2. Henoch Schonlein purpura
3. Immune thrombocytopenia
4. Dengue fever

Correct answer: 2. Henoch Schonlein purpura

Explanation: All other options have decreased platelet count except Henoch Schonlein purpura. Henoch-Schonlein purpura is a systemic syndrome involving the skin (purpuric rash), gastrointestinal tract (abdominal pain), and joints (arthritis). skin manifestations in HSP are due to small vessel vasculitis and platelet count is normal. Wiskott-Aldrich syndrome is an X-linked disease characterized by thrombocytopenia, eczema, and a marked vulnerability to recurrent infection that results in early death. The platelets are small and are reduced in number .